Which of the following is not an appropriate investigation for anterior urethral stricture?
1. Magnetic Resonance Imaging
2. Retrograde urethrogram
3. Micturating cystourethrogram
4. High frequency ultrasound

Correct answer: 1. Magnetic Resonance Imaging

Explanation: A i.e. MRI Radiological Investigation for urethral stricture Retrograde urethrographyQ -It should not be done within 3-4 weeks of significant urethral trauma (can cause extravasation of the dye into the spongy tissue, lymphatics & veins of pelvis). -Mainstay of investigation.